Fogarty’s catheteris used for:
1. Drainage of urinary bladder
2. Parenteral hyperalimentation
3. Removal of embolus from blood vessels
4. Ureteric catheterization

Correct answer: 3. Removal of embolus from blood vessels

Explanation: Fogarty catheter is like a ureteric catheter, with a balloon tip and is introduced until it is deemed to have passed the limit of the thrombus.
The balloon is inflated and the catheter is withdrawn slowly with the clot.
Ref.:Bailey and love’s sort practice of surgery- 934